All are tests for stoppage of circulation except
1. Magnus test
2. Winslow's test
3. Icard's test
4. Diaphanous test

Correct answer: 2. Winslow's test

Explanation: Winslow test is a test for detect on of respiration while all the remaining mentioned tests are those for circulation.